Primary Oocyte remains in ovary in which stage
1. Metaphase
2. Anaphase
3. Interphase
4. Prophase

Correct answer: 4. Prophase

Explanation: Prophase